Causes of papillary necrosis in kidney are/is:
1. Diabetes mellitus
2. Sickle cell disease
3. Analgesic abuse
4. All

Correct answer: 4. All

Explanation: Ans. d (All). (Ref. Robbin's, Pathology, 6th/pg.924)CAUSES OF PAPILLARY NECROSIS (mnemonic--POSTCARD):# Pyelonephritis# Obstructive uropathy# Sickle cell disease# TB and trauma, tubular necrosis, transplant rejection# Cirrhosis (alcoholism, coagulopathy)# Analgesics# Renal vein thrombosis# Diabetes, Dehydration